The following features differentiate Rotor syndrome from Dubin Johnson's syndrome except:
1. Liver patients with Rotor syndrome has no increased pigmentation and appears normal
2. In Rotor syndrome, gall bladder is usually visualized on cholecystography
3. Total urinary coproporphyrin is substantially increased in Rotor syndrome
4. Fraction of coproporphyrin I in urine is elevated usually more than 80% of the total in Rotor syndrome

Correct answer: 4. Fraction of coproporphyrin I in urine is elevated usually more than 80% of the total in Rotor syndrome

Explanation: Rotor syndrome Dubin Johnson's syndrome Appearance of liver Normal appearance Liver has black pigmentation Gall bladder visualization on oral cholecystography Gallbladder is usually visualized Gall bladder can't be visualized Total urine coproporphyrin content High with <70% coproporphyrin I Normal with >80% coproporphyrin I